True statement about a pralidoxime is
1. Signs of atropinization occur more slowly when pralidoxime is used as compared to the use of atropine alone
2. It can be used defect chlorinated pesticides
3. It should not used for nerve gases used in chemical warfare
4. Therapy with pralidoxime should ideally be monitored by measuring blood chlolinesterase concentration

Correct answer: 4. Therapy with pralidoxime should ideally be monitored by measuring blood chlolinesterase concentration

Explanation: (Rf: KDT 6/e p105, Drug facts and comparison2010/599) Pralidoxime is ACh esterase reactivator used for organophosphate poisoning. Blood cholinesterase levels can be used to monitor therapy, however RBC cholinesterase levels better reflect ACh esterase activity than serum or plasma levels because with chronic exposire to organo-phosphates, serum levels may return to normal but RBC levels remain depressed. Chlorinated pesticides like DDT are CNS stimulants and their overdose is treated by diazepam like drugs. Pralidoxime has no role in their treatment. Nerve gases used in warfare act bv inhibiting acetylcholinesterase. Atropine and oximes are used for their treatment. When atropine and pralidoxime are used together, the signs of atropinization may occur earlier than might be expected when atropine is used alone.